Sertoli cells play a key role in which of the following process
1. Spermiogenesis
2. Testosterone secretion
3. Secretion of seminal fluid
4. Gonadogenesis

Correct answer: 1. Spermiogenesis

Explanation: Ans. (a) Spermiogenesis